Positive End Expiratory Pressure is useful in:
1. Pneumonia
2. ARDS
3. Pulmonary edema
4. All of the above

Correct answer: 4. All of the above

Explanation: Ans. D: All of the above Positive end-expiratory pressure (PEEP) is a term used in mechanical ventilation to denote the amount of pressure above atmospheric pressure present in the airway at the end of the expiratory cycle. It is indicated in Hypoxemia due to the following: ARDS Pneumonia Pulmonary edema Atelectasis